Causes of thrombocytopenia are all EXCEPT(341-H) (468
1. DIC
2. B12 folate deficiency
3. SLE
4. Rheumatoid arthritis

Correct answer: 4. Rheumatoid arthritis

Explanation: (Rheumatoid arthritis) (341-H) (468-CMDT) (719-H17th)Causes of Thrombocytopenia* Decreased marrow production of megakaryocytes- Marrow infiltration with tumour, fibrosis.- Marrow failures - aplastic, hypoplastic anemias, drug effects* Splenic sequestration of circulating platelets- Splenic enlargement due to tumour infiltration- Splenic congestion due to portal hypertension (Hypersplenism)* Increasing destruction of circulating platelets(II) Non immune destruction - Vascular prosthesis, cardiac valves, DIC, sepsis, TTP, Hemolytic-uremic syndrome, Hemangiomas, AIDS, liver failure, vasculitis(III) Immune destruction- Auto antibodies to platelet antigens- ITP.- Drug induced antibodies (Sulfonamides, quinine, thiazides, Cimetidine, gold and heparin (MC)- Secondary (SLE*, CLL), post transfusion purpura viral antigens and bacterial sepsis.Bone marrow disorders - Aplastic anemia, Hematologic malignancies, Myelodysplasia, Megaloblastic anemia, chronic alcoholism (501-CMDT-05)* Rheumatoid arthritis and ulcerative colitis causes significant elevation of the platelet count as may chronic infection. The thrombocytosis of iron deficiency is observed only when anaemia is significant. The platelet count is temporarily elevated after splenectomy (484-CMDT-05).